Best index for chronic malnutrition is:
1. Height for age
2. Weight for age
3. Weight for height
4. All of the above

Correct answer: 1. Height for age

Explanation: Ans. A: Height for age